Thanatology deals with
1. Death in all aspects
2. Postmortum findings
3. Exhumation
4. Body of offence

Correct answer: 1. Death in all aspects

Explanation: Ans) a (Death in all aspects) Ref.KNS Reddy 20th ed p 122Thanatology deals with death in all aspects.There is a progression from clinical death to brain death, biological death, biological death and then cellular death. Brain death follows immediately clinical death due to lack of oxygen. First the cerebral cortex, then cerebellum and then lower brain centres die. Ultimately the brain stem and vital centres die. There after the process of cellular death begins.Types of deatha) Somatic death- complete, irreversible stoppage of circulation breathing and brain functionb) Brain death-Characterized by deep unconsciousness with no response to external stimuli, no breathing, no cardiac function, no reflexes (except spinal), fixed dilated pupil and flat EEG for atleast 24 hrs with body temperate more than 32i c in the absence of metabolic and endocrine dysfunction.c) Molecular death- death of cells or tissues individually